DNA polymerase of HBV is encoded by which of the following ?
1. S gene
2. C gene
3. P gene
4. X gene

Correct answer: 3. P gene

Explanation: Ans. is `c' i.e., P gene DNA polymerase of HBV is encoded by P gene